Sinus venosus receives blood from all EXCEPT
1. Vitelline vein
2. Umbilical vein
3. Common cardinal vein
4. Subcardinal vein

Correct answer: 4. Subcardinal vein

Explanation: Right & left sinus venosus each receives the union of the corresponding: Umbilical vein Vitelline vein Common cardinal vein Right vitelline vein forms the portal venous circulation and the hepatic portion of IVC. Common cardinal veins - forms neck veins. The umbilical veins degenerate.